Treatment of congenital hydrocephalus is -
1. Ventriculoperitoneal shunt
2. Sterestactic radio surgery
3. Diuretics
4. Radiotherapy

Correct answer: 1. Ventriculoperitoneal shunt

Explanation: Ans. is 'a' i.e., Ventriculoperitoneal shunt Congenital Hydrocephalus - Treatment Optionsa) Ventriculoperitoneal shuntb) Endoscopic third ventriculostomyc) Lumbar puncture (temporary measure till a shunt is put)